Mood disorder is:
1. Psychosis
2. Disturbance in affect
3. Anxiety
4. Neurosis

Correct answer: 2. Disturbance in affect

Explanation: Ans. Disturbance in affect